Breech presentation is a risk factor for the following condition
1. CTEV
2. SCFE
3. DDH
4. Perthes disease

Correct answer: 3. DDH

Explanation: Risk factors for DDH/CDH (Remember 4Fs 1HO)FemalesFirstborn childFamilial: DDH is found in families Faulty intrauterine position (Breech presentation)Hormone-induced laxityOligohydramnios(Refer: Mohindra's Fundamentals of Orthopedics, 2nd edition, pg no. 347, 363)